Regarding diagnostic tests for syphilis, true is all except
1. VDRL test is used for measurement of antibody titers to assess response to treatment.
2. FTA-ABS is used to confirm diagnosis in clinically suspected syphilis.
3. TP-PA test is appropriate for population screening for syphilis.
4. Fourfold decrease in titer is required by 6 months after therapy for primary syphilis.

Correct answer: 3. TP-PA test is appropriate for population screening for syphilis.

Explanation: For population screening for syphilis, VDRL or RPR test is appropriate.